Regressiom between height and age follows y=a+bx.THe curve is
1. Hyperbola
2. Sigmoid
3. Straight line
4. Parabola

Correct answer: 3. Straight line

Explanation: Ref:Park's Textbook of Preventive and Social Medicine 25th Ed